Screening of disease is ...... level of prevention:
1. Primordial
2. Primary
3. Secondary
4. Tertiary

Correct answer: 3. Secondary

Explanation: Secondary